Parvo virus causes -
1. Aplastic anemia
2. Erythema infectiosum
3. Arthritis
4. All

Correct answer: 4. All

Explanation: Ans. is 'a' i.e., Aplastic anemia, 'b' i.e., Erythema infectiosum